Widening of periodontal ligament is seen in:
1. Hypercementosis
2. Osteosarcoma
3. Hypofunction of teeth
4. Paget's disease

Correct answer: 2. Osteosarcoma

Explanation: Widening of periodontal ligament is seen in

Osteosarcoma
Chondrosarcoma
Scleroderma
Trauma from occlusion

Obliteration of periodontal ligament space is seen in

Hypercementosis
Ankylosis
Hypofunction of teeth
Paget's disease